Best means of giving hepatitis B vaccine is -
1. Subcutaneous
2. Intradermal
3. Intramuscular deltoid
4. Intramuscular gluteal

Correct answer: 3. Intramuscular deltoid

Explanation: Best means ofHBV is im inyo deltoid,gluteal muscle is not recommended,because of it may teduly poor immunity REF:MICROBIOLOGY ANANTHA NARAYANAN NINTH EDITION PAGE.548